Physical and psychological dependence with tolerance and withdrawal symptoms with inability to control drinking is termed as:-
1. Alpha alcoholism
2. Beta alcoholism
3. Gamma alcoholism
4. Delta alcoholism

Correct answer: 3. Gamma alcoholism

Explanation: Alcohol dependence has been classified into five types based on the pattern of use (not on the basis of severity): i. Alpha alcoholism: Excessive and inappropriate drinking to relieve physical and/or emotional pain with no loss of control but ability to abstain present. ii. Beta alcoholism: Excessive and inappropriate drinking with physical complications (e.g. gastritis, cirrhosis) due to cultural drinking and poor nutrition but there is no dependence. iii. Gamma (malignant) alcoholism: Physical and psychological dependence with tolerance and withdrawal symptoms with inability to control drinking. iv. Delta alcoholism: Inability to abstain, tolerance, withdrawal symptoms, amount of alcohol consumed can be controlled and social disruption is minimal. v. Epsilon alcoholism: Dipsomania and spree-drinking.